A 26 year old lady has been on Olanzapine for the treatment of Schizophrenia. All of the following are the ATP III (Adult Treatment Panel) criteria for metabolic syndrome, except:
1. Abdominal obesity
2. Triglyceride > 150 mg/dl
3. Blood pressure > 130/85
4. LDL > 150 mg/dl

Correct answer: 4. LDL > 150 mg/dl

Explanation: LDL is not included in metabolic syndrome criteria. All others are indicated. The new generation anti-psychotics like Olanzapine and Risperidone increases the risk of metabolic syndrome and increase the risks of cardiovascular disease. ATP III (Adult Treatment Panel) Criteria for Metabolic Syndrome is as follows: Abdominal obesity, given as waist circumference Men>102 cm (>40 in) Women>88 cm (>35 in) Triglycerides>=150 mg/dL HDL cholesterol Men<40 mg/dL Women<50 mg/dL Blood pressure>=130/>=85 mm Hg Fasting glucose>=110 mg/dL